Killing power of disease is
1. Secondary attack rate
2. Case fatality rate
3. IMR
4. MMR

Correct answer: 2. Case fatality rate

Explanation: Ans. b (Case fatality rate). (Ref. Park, PSM, 17th ed., 52, 88)- CFR is measurement of killing power of a disease.Secondary attack rate =Number of exposed persons developing the disease within the range of IP------------------------------------------Total number of exposed/"susceptible" contactsx 100- The primary case is excluded from both the numerator and denominator.